Which is not a feature of paroxysmal nocturnal hemoglobinuria-
1. Increased LAP score
2. Thrombosis
3. Thrombocytopenia
4. Hemolysis

Correct answer: 1. Increased LAP score

Explanation: The LAP score is usually decreased in chronic myelogenous leukemia and paroxysmal nocturnal hemoglobinuria, while it is increased in leukemoid reaction and polycythemia vera. Numerous other conditions may also increase or decrease the LAP score. PNH is an acquired disorder in which there is a deficiency of GPI linked proteins, which normally protect the red cells against complement-mediated lysis. In PNH, RBCs are very sensitive to complement-mediated hemolysis. Clinical Features Intravascular hemolysis: Hemoglobin in acidic urine is converted into acid hematin and results in dark brown urine. Thrombosis: In the hepatic, portal or cerebral veins Laboratory Findings PNH: Ham's acidified serum test and sucrose hemolysis test positive. Ref: RAM DAS NAYAK EXAM PREPARATORY MANUAL FOR UNDERGRADUATES 2nd ed. pg no: 283